Main vascular supply of Little's area is all, except -
1. Septal branch of superior labial artery
2. Nasal branch of sphenopalatine artery
3. Anterior ethmoidal artery
4. Palatal branch of sphenopalatine

Correct answer: 4. Palatal branch of sphenopalatine

Explanation: Ans. is `d'' i.e., Palatal branch of sphenopalatine Little's area Situated in the anterior inferior part of nasal septum, just above the vestibule. Four arteries supply this area :Anterior ethmoidal artery.Septal branch of superior labial artery (Branch offacial A).Septal branch of sphenopalatine artery (Branch of maxillary A).Greater palatine artery (Branch of maxillary A).These arteries anastomose to form a vascular plexus called "Kiesselbach's plexus".